Major metabolite of noradrenaline in urine is:
1. VMA
2. HVA
3. Normetanephrine
4. Metanephrine

Correct answer: 1. VMA